Face bow is used to transfer:
1. Axis-orbital plane
2. Frankfort horizontal plane
3. Camper's plane
4. Occlusal plane

Correct answer: 1. Axis-orbital plane